Necrotizing pappillitis is seen in all of the following except :
1. Salicylate poisoning
2. Renal vascular thrombosis
3. PNH
4. Diabetes mellitus

Correct answer: 3. PNH

Explanation: Answer is C (PNH): All causes other than PNH are known causes of necrotizing papillitis